The most radiosensitive tumor among the following is-
1. Bronchogenic carcinoma
2. Carcinoma parotid
3. Dysgerminoma
4. Osteogenic sarcoma

Correct answer: 3. Dysgerminoma

Explanation: Ans. is 'c' i.e. Dysgerminoma Dysgerminoma is the ovarian counterpart of the seminoma of testis and is highly radiosensitive tumor similar to seminomas. Radiosensitivity of different tumors (a) Highly sensitive (c) Relatively resistant Lymphoma Squamous cell carcinoma of lung Seminoma Hypernephroma Myeloma Rectal carcinoma Ewing's sarcoma Bladder carcinoma Wilm's tumour Soft tissue sarcoma (b) Moderately sensitive Carcinoma of cervix Small cell lung cancer (d) Highly resistant Breast cancer Melanoma Basal cell carcinoma Osteosarcoma Medulloblastoma Pancreatic carcinoma Teratoma Ovarian cancer